Which of the following is the most penetration beam?
1. Electron beam
2. 8 MV photons
3. 18 MV photons
4. Proton beam

Correct answer: 3. 18 MV photons

Explanation: The order of penetration power is ? rays> electrons> a particles. Here the 18MeV photon will have more energy than 8MeV photon. Ref: Essentials of Environmental Health, By Robert H. Friis, 2011, Page 191